Iron absorption is increased by which of the following?
1. Phytates
2. Tannates
3. Plant foods
4. Ascorbic acid

Correct answer: 4. Ascorbic acid

Explanation: - Site of iron absorption - duodenum and upper jejunum (proximal small intestine). - Iron absorption is increased by Acids Ascorbic acid (Vitamin C), citric acid Amino acids containing SH-group Sugars in the diet - Phytates, Tannates (found in tea), tetracyclines & Plant foods (non-heme iron) decreases iron absorption